Pudendal nerve block ?
1. S1-3
2. S2-4
3. S3-5
4. S4,5

Correct answer: 2. S2-4

Explanation: Ans. is 'b' i.e., S2-4 Pudendal Nerve Block It is a peripheral nerve block that provides local anesthesia over S 2-4 dermatomes (majority of perineum and inferior quarter of vagina) It does not block the superior birth canal so the mother is able to feel the uterine contractions.